A person who has high fever, tachycardia, hemoptysis and a lobar consolidation on CXR has -
1. Bronchopneumonia
2. Lobar pnuemonia
3. Pulmonary edema
4. Pulmonary infarction

Correct answer: 2. Lobar pnuemonia